An old man is having benign prostatic hypertrophy. Which of the following drug is used to reduce the size of prostate in such a person?
1. Cyproterone acetate
2. Danazol
3. Bicalutamide
4. Finasteride

Correct answer: 4. Finasteride

Explanation: DRUGS FOR BHP Alpha blockers like tamsulosin, prazosin etc relax the prostatic urethra and provide symptomatic relief from BHP. These relieve the dynamic component of obstruction and are very fast acting. Finasteride and dutasteride are 5-a reductase inhibitors useful in the treatment of BHP. These decrease the size of prostate (static component). However, these are very slow acting.